In the skeletal remains in a building suspected to be of a male, the length of humerus is 24.5 cm. the stature of the person will be:-
1. 130.095 cm
2. 93.59 cm
3. 143.00 cm
4. 110.00 cm

Correct answer: 1. 130.095 cm

Explanation: The multiplying factor for humerus in calculating stature in males is 5.31 Stature = length of humerus x 5.31 = 24. 5 x 5.31 = 130.095 cm Stature: 130.095 cm Bones Males Females Humerus 5.31 5.31 Radius 6.78 6.7 Ulna 6.00 6.0 Femur 3.82 3.08 Tibia 4.49 4.46 Fibula 4.46 4.43